In Volkman's ischemia, surgery should be done;
1. Immediately
2. After 6 hours
3. 24 hours
4. 72 hours

Correct answer: 1. Immediately

Explanation: A i.e. Immediate